Autosomal dominant inheritance -
1. Albinism
2. Sickle cell anaemia
3. Thallesemia
4. Hereditary spherocytosis

Correct answer: 4. Hereditary spherocytosis

Explanation: Ans. is `d' i.e., Hereditary spherocytosis Hereditary spherocytosis is an autosomal dominant disorder.